Which of the following is not a 2 way communication -
1. Lectures
2. Group discussion
3. Panel discussion
4. Symposium

Correct answer: 1. Lectures

Explanation: Ans. is 'a' i.e., Lectures Communication o Communication is a process of transferring information from one source to another. o There arc following types of communication :? 1. One-way communication (Didactic method) One way communication is one in hich information is always transferred in only one preassigned direction, i.e. from communicator to the audience. o Example - Lectures, demonstration, mass media communication (TC, radio, internet). 2. Two-way communication (socratic method) It is method of communication in which both the communicator and the audience take part and the information is transferred in both direction. Examples Group discussion, Panel discussion, symposium, workshop, conferences. Verbal communication communication by words of mouth. Non-verbal conununication -4 communication without words, by whole range of bodily movements, postures, gestures, facial expressions ( e.g. smiling, frown). Formal and informal education Follows lines of authority Formal communication. From channels that fall outside the formal communication --> informal (grape-vine) communication. Visual communication -3 charts, graphs, tables etc. Telecommunication and internet Telecommunication is the process of communication over distance using electromagnetic instruments designed for the purpose. Examples Radio, TV and internet.